Spongy mass with sunburst calcification in center seen in CT is seen in:
1. Mucinous cystadenoma CA
2. Serous cystadenoma
3. Somatostationoma
4. Adenocarcinoma pancreas

Correct answer: 2. Serous cystadenoma

Explanation: Ans. Serous cystadenoma